Psammoma bodies are seen in the following except ?
1. Serous cystadenoma of ovary
2. Mucinous cysadenoma of ovary
3. Meningioma
4. Papillary carcinoma of thyroid

Correct answer: 2. Mucinous cysadenoma of ovary

Explanation: Ans. is 'b' i.e., Mucinous cysadenoma of ovary